Fluoresciene stain is used in the eye to stain ?
1. Cornea
2. Retina
3. Choroid
4. Iris

Correct answer: 1. Cornea

Explanation: Ans. is 'a' i.e., Cornea Important corneal examinations Keratometry, Corneal topography Specular microscopy Slit lamp Pachymeter Placido's disc Fluorescein, Alacian blue & Bengal rose stain Window reflex, slit lamp biomicroscopy, Placidos' disc Used for Curvature of cornea Corneal endothelial density Corneal opacity Thickness of cornea Corneal sheen Corneal staining Corneal surface